Which of the following germ cell tumor is malignant
1. Leyidg cell tumor
2. Sertoli cell tumor
3. Seminoma
4. Dermoid cyst

Correct answer: 3. Seminoma

Explanation: In postpubertal males, 95% of testicular tumors arise from germ cells, and all are malignant. Seminomas are soft, well-demarcated, gray-white tumors that bulge from the cut surface of the affected testis. Large tumors may contain foci of coagulation necrosis, usually without hemorrhage. Microscopically, seminomas are composed of large, uniform cells with distinct cell borders, clear, glycogen-rich cytoplasm, and round nuclei with conspicuous nucleoli Robbins Basic Pathology. Ninth edition. Page no 659,660 points to note Genetic alterations in seminoma: Isochromosome p12 Mutations of KIT (oncogene) KIT amplification. Seminoma: Positive for: KIT PLAP AFP is NEVER elevated in seminoma. Seminomas almost never occur in infants. Spermatocytic seminoma: Tumor cells have a nucleus with spireme chromatin.